A 32 week pregnant multigravida found to have abnormal glucose tolerance test and diagnosed as gestational diabetes. All of the following can be the complications in this newborn, EXCEPT:
1. Hyperbilirubinemia
2. Hyperglycemia
3. Hypocalcemia
4. Hypomagnesemia

Correct answer: 2. Hyperglycemia

Explanation: Similar to pre gestational diabetes, GDM is associated with an increased risk of maternal and fetal complications including preeclampsia, stillbirth, and macrosomia. Infants born to mothers with gestational diabetes are at increased risk of hypoglycemia, hyperbilirubinemia, hypocalcemia, and RDS.Offspring of mothers with GDM appear to be at increased risk of obesity, fetal structural malformations and impaired glucose tolerance later in life. Ref: Murphy A., Janzen C., Strehlow S.L., Greenspoon J.S., Palmer S.M. (2013). Chapter 31. Diabetes Mellitus & Pregnancy. In A.H. DeCherney, L. Nathan, N. Laufer, A.S. Roman (Eds), CURRENT Diagnosis & Treatment: Obstetrics & Gynecology, 11e.